All of the following enzymes catalyze irreversible steps in glycolysis EXCEPT:
1. Hexokinase
2. PFK-I
3. Enolase
4. Pyruvate kinase

Correct answer: 3. Enolase

Explanation: Ans. (c) EnolaseRef: Harpers Biochemistry, 30 edn. pg. 170-171thReversible steps of glycolysis are catalyzed byIrreversible steps of glycolysis are catalyzed by* Phosphohexose isomerase* Aldolase* Phosphotriose isomerase* Glyceraldehyde 3-phosphate dehydrogenase* Phosphoglycerate kinase* Phosphoglycerate mutase* Enolase* Glucokinase/Hexokinase* Phosphofructokinase-I* Pyruvate kinase